The 9 month old child of a diabetic mother presents with tachypnea and hepatomegaly. Echo cardiography of the heart showed normal cardiac morphology with asymmetric septal hypertrophy. Which of the following you will give to treat this child
1. Digoxin
2. Frusemide
3. Propanolol
4. Isoptin

Correct answer: 3. Propanolol